A 45 year old female patient returns to your clinic with complaints of food lodgement in interproximal area of 47. On intraoral examination, 47 is restored with mesio-disto-occlusal amalgam restoration. How many point angles and line angles are there in this preparation?
1. 4 and 8
2. 6 and 8
3. 6 and 14
4. 8 and 14

Correct answer: 4. 8 and 14